Deep blue colour of hypostasis is seen in death due to poisoning by:
1. Potassium cyanide
2. Phosphorus
3. Aniline dyes
4. Carbon monoxide

Correct answer: 3. Aniline dyes

Explanation: Aniline dye poisoning causes methaemoglobinaemia which gives deep blue colour hypostasis after death. Other poisonings which cause methaemoglobinaemia are, nitrites, potassium chlorate, potassium bicarbonate, nitrobenzene, acetanilide and bromates. Ref: The Essentials of Forensic Medicine and Toxicology By K S Narayan Reddy, 27th Edition, 136, 137,139